Sodium fluoride is added to:
1. Prevent glycolysis
2. Prevent glucogenolysis
3. Prevent coagulation
4. All

Correct answer: 1. Prevent glycolysis

Explanation: Ans. Prevent glycolysis